A sexually active young male, presented to the physician with urethral discharge. On urine microbiology examination, pus cells were present in the absence of any identifiable organisms. Which of the following is the best method for culture in this this scenario?
1. LJ medium
2. Mc coy cell line
3. Thayer Main medium
4. Levinthal medium

Correct answer: 2. Mc coy cell line

Explanation: Whenever a young male presents with urethritis, gonococcal or chlamydial infection is suspected. Gram staining of a gonococcal urethritis reveals gram -ve diplococci along with inflammatory cells. If gram stain does not reveal gonococcus most probably it is a case of non gonococcal urethritis (chlamydial urethritis). Chlamydia trachomatis is an obligate intracellular organism. Cell culture was once considered the gold standard for diagnosing chlamydia. Cyclohexamide treated Mc Coy cells are the most commonly used cell culture system. Cell culture is now replaced by non culture assays. Molecular tests that amplify the nucleic acid in the clinical specimen is currently recommended by CDC as the diagnostic assay of choice.